Hutchinson teeth are seen in:
1. Early congenital spirochete infection
2. Late congenital syphilis
3. Rickets
4. Scurvy

Correct answer: 2. Late congenital syphilis

Explanation: Ans. (b) Late congenital syphilisRef.: OP Ghai 8th ed./273It is a common pattern of presentation for congenital syphilis, and consists of three phenomena aka Hutchinson triad:* Interstitial keratitis* Hutchinson incisors* Eighth nerve deafness.